Stimulant purgatives are contraindicated in the following:
1. Bed ridden patients
2. Before abdominal radiography
3. Subacute intestinal obstruction
4. All of these

Correct answer: 3. Subacute intestinal obstruction

Explanation: (Ref: KDT 6/e p655) Stimulant (or irritant) purgatives are contra-indicated in pregnancy and intestinal obstruction (both subacute as well as chronic).